In Which of the following conditions is cardiac involvement NOT a usual feature?
1. Facio-scapulo-humeral dystrophy
2. Duchenne's muscular dystrophy
3. Friedreich's ataxia
4. Myotonic dystrophy

Correct answer: 1. Facio-scapulo-humeral dystrophy

Explanation: Facioscapulohumeral muscular dystrophy is a disorder characterized by muscle weakness and wasting (atrophy). This condition gets its name from the muscles that are affected most often: those of the face (facio-), around the shoulder blades (scapulo-), and in the upper arms (humeral).no cardiac involvement is seen Ref Harrison20th edition pg 2378